Census is conducted every
1. 2 years
2. 5 years
3. 7 years
4. 10 years

Correct answer: 4. 10 years